Vitamin A prophylaxis is given to children every:
1. 3 months
2. 6 months
3. 12 months
4. 18 months

Correct answer: 2. 6 months

Explanation: Ans. B: 6 monthsNational programme for prevention of nutritional blindness focuses onPromoting consumption of vitamin A rich foods by pregnant and lactating women and by children under 5 years of age.Administration of massive doses of vitamin A up to 5 years. First dose of 100,000 IU with measles vaccination at 9 months and subsequent doses of 200,000 IU each, every 6 months up to the age of 5 years should be given.